Which is an intermediate acting insulin?
1. Insulin lispro
2. Regular insuin
3. NPH insulin
4. Insulin glargine

Correct answer: 3. NPH insulin

Explanation: Ans. is 'c' i.e., NPH insulin